Congenital infection affecting fetus with minimal teratogenic risk is:
1. HIV
2. Rubella
3. Varicella
4. CMV

Correct answer: 1. HIV

Explanation: Ans. (a) HIV Du * .,/e, n 301 HIV has got no teratogenic effect on fetus. Viral infection in pregnancy: Infection Fetal effect Rubella Sensoneural deafness Varicella Septal defect, PDA, cataract, retinopathy CMV Hypoplasia of limbs, limb deformity, choroidoretinal scarring, cataract, microcephaly Parvo virus IUGR, microcephaly, Intracranial calcification, Intellectual disability, choriodoretinitis, deafness Mumps Aplastric crisic, CHF, hydrops HIV No ill effect on fetus